Soft chancre is a feature of-
1. Syphilis
2. H. Ducreyi
3. Gonococcus
4. LGV

Correct answer: 2. H. Ducreyi

Explanation: Ans. is 'b' i.e., H. DucreyiRemember* Soft sore (soft chancre) - Chancroid (ulcer caused by H. ducreyi).* Hard sore (Hard chancre) - Ulcer of primary syphilis (caused by T. pallidum)